Bilateral recurrent laryngeal nerve is most commonly affected in-
1. Neck trauma
2. Bronchogenic carcinoma
3. Carcinoma esophagus
4. Post thyroid surgery

Correct answer: 4. Post thyroid surgery

Explanation: Ans. is 'd' i.e., Post thyroid surgery Causes of recurrent laryngeal nerve (vocal cord or abductor) paralysis* Depending upon the cause, vocal cord paralysis may be unilateral or bilateral.* In unilateral paralysis, left recurrent laryngeal nerve is more prone to paralysis compared to the right one because of its much longer course.* Most common overall cause of vocal cord paralysis is iatrogenic in origin following surgery, most commonly thyroidectomy.* Most common cause of unilateral left vocal cord paralysis is bronchial carcinoma at the left hilum.